Biotin is a coenzyme for:
1. Pyruvate dehydrogenase
2. Pyruvate carboxylase
3. PEP carboxylase
4. Glutamate pyruvate transaminase

Correct answer: 2. Pyruvate carboxylase

Explanation: Ans. B. Pyruvate carboxylaseBiotin is required as a co-enzyme of carboxylation reactions. Pyruvate carboxylase converts pyruvate to oxaloacetate.